MC cause of neonatal mortality:
1. Birth injuries
2. Infection
3. Prematurity
4. Diarrhea

Correct answer: 3. Prematurity

Explanation: Ans. C i.e. Prematurity Preterm birth is the most common cause of perinatal mortality, causing almost 30 percent of neonatal deaths. Infant respiratory distress syndrome, in turn, is the leading cause of death in preterm infants, affecting about 1% of newborn infants. Birth defects cause about 21 percent of neonatal death.